The lymphocytic and histiocytic variant of Reed-Sternberg cell is seen in -
1. Follicular center lymphoma
2. Lymphocyte depleted Hodkin's disease
3. Nodular sclerosis Hodkin's disease
4. Lymphocyte predominant Hodkin's disease

Correct answer: 4. Lymphocyte predominant Hodkin's disease

Explanation: Lymphocytic predominance type of Hodgkin's disease is characterised by proliferation of small lymphocytes admixed with a varying number of histiocytes . Polypoid type( or popcorn or lymphocytic -histiocytic )Reed Sternberg cells are seen.

Reference :Harsh mohanTextbook of Pathology 6th edition pg no 371